All are true regarding tetanus except:
1. Transmission through contaminated wounds and injuries
2. More common in winters and dry weather
3. Reservoir in soil and intestines of humans and animals
4. No herd immunity of life long immunity

Correct answer: 2. More common in winters and dry weather

Explanation: Ans. is 'b' i.e., More common in winters and dry weather(Ref: Ananthanarayan, 9th/e, p. 261; Harrison, 19th/e, p. 1197 and 17th/e, p. 898; Park, 20th/e, p. 272, 273)* Tetanus is common in areas where soil is cultivated, in rural areas, in warm climates, during summer months, and among males.* Infection is acquired by contamination of wounds with tetanus spores.* Reservoir of infection: The natural habitat of organism is soil and dust. The bacilli may be found in the intestine many herbivorous animals, e.g., cattle, horses, goat and sheep and are excreted in their feces. The bacilli may be found in the intestine of man without causing ill effects.* Tetanus is one disease in which herd immunity does not protect the individual.